Which of the following is not a feature of tertiary syphilis:
1. Gumma
2. Neurosyphilis
3. Cardiovascular syphilis
4. Nephrosyphilis

Correct answer: 4. Nephrosyphilis

Explanation: a) Congenital syphilis:

Hutchinson's triad: Hypoplastic incisors and molars, interstitial keratitis, 8th nerve deafness.
Saddle nose
Sabre tibia
Rhaghades (radiating scars around mouth, nose and  anus) • Bossing of frontal and parietal bones
Hypoplastic maxilla
Salt and pepper scars on retina.

b) Primary syphilis:

Painless chancre
Painless palpable rubbery inguinal lymphnodes

c) Secondary syphilis:

This stage is highly infectious
Starts 6 - 8 weeks after the development of the chancre
Fever, malaise
Maculopapular rash on the trunk and limbs.
Condyloma lata (Papules coalescing to plaques)
Mucous patches in the genitalia, mouth, pharynx
'Snail track' ulcers in mouth

d) Late / tertiary, syphilis:

Characteristic granulomatous lesion called gumma.
Cardiovascular syphilis
Aortitis
Aortic aneurysm (mostly in ascending aorta)
Aortic incompetence
Neurosyphilis (KCET-11)
Tabes dorsalis
Meningovascular disease
General paralysis